Net Filtration pressure of glomerulus increases by
1. Increase in Hydrostatic pressure of glomerullar capillary
2. Increase in Oncotic pressure of glomerullar capillary
3. Increase in Hydrostatic pressure of  Bowman's space
4. All of the above

Correct answer: 1. Increase in Hydrostatic pressure of glomerullar capillary

Explanation: GC - Glomerular capillary
BS - Bowman's space
P - Hydrostatic Pressure
π - Oncotic pressure
Net Filtration Pressure = (P GC - P BS ) + ( π  BS +  π GC )